The following is a single stranded DNA containing virus with no envelope
1. Parvo virus B19
2. Hepatitis A
3. Herpes simplex
4. Human reo virus

Correct answer: 1. Parvo virus B19

Explanation: Parvo-SSDNA with no envelope Hepatitis-SS RNA with no envelope Herpes virus is an enveloped double-stranded DNA containing virus Ref: Baveja 5th ed Pg: 423